An 80 year old, asymptomatic man presents with a Total leucocyte count of 1 lakh, with 80% lymphocytes and 20% PMN. What is the most probable diagnosis?
1. HIV
2. CML
3. CLL
4. TB

Correct answer: 3. CLL

Explanation: The above given clinical presentation points towards a diagnosis of CLL (Chronic Lymphocytic Leukemia) Its median age of presentation is 65 years with 53% male presentation. The diagnosis of typical CLL is made with B-cell lymphocytosis greater than 5000/uL & coexpression of CD19, CD5 on lymphocytes. PBF shows "smudge" or "basket" cells Warm autoimmune hemolytic anemia (IgG), Coombs test positive Cytogenetic studies reveal trisomy 12 CML presents with massive splenomegaly, elevated WBC, increase in both immature and mature granulocytes. At diagnosis,bone marrow cellularity is increased, with an increased myeloid-to-erythroid ratio. TB presents with symptoms while presentation of the given patient is asymptomatic